Palpation of muscles of mastication is best accomplished bilaterally and
1. Simultaneously
2. Alternately
3. Intermittently
4. None of the above

Correct answer: 1. Simultaneously